Pneumoconiosis is caused due to inhalation of dust within the size range of -
1. 0.5-2.5 microns
2. 3-6 microns
3. 6.5-8 microns
4. 10-20 microns

Correct answer: 1. 0.5-2.5 microns

Explanation: Particle size of air contaminants must be considered in pneumoconiosis .Particles >10-15 microns do not penetrate beyond the nose and throat.Particles 2.5-10 microns contain crustal elements such as silica,aluminium,and iron.These particles mostly deposit high in the tracheobronchial tree.Fine -mode fraction include particles less than 2.5 microns,which are carried to the lower airways and produces pneumoconiosis. Reference:Harrison's medicine-18th edition,page no:2122.